Which of the following drugs act by inhibition of AT1 subtype of angiotensin receptors?
1. Ramipril
2. Lovastatin
3. Candesartan
4. Sumatriptan

Correct answer: 3. Candesartan